Apoptosis causes all except:
1. Activation of caspase
2. Local inflammatory response
3. Condensation of chromatin
4. Cleavage of chromatin by endonucleases

Correct answer: 2. Local inflammatory response

Explanation: Features of Necrosis and Apoptosis Necrosis Apoptosis * Always pathological * May be physiological or pathological * Associated with disruption of cellular homeostasis (e.g. ischemia, hypoxia & poisoning) * Important for development, homeostasis & elimination of pathogens & tumor cells * Affects contiguous (adjacent) group of cells * Affect single cells * Cell size is increased * Cell size is shrunken * Passive * Active * Causes inflammatory reaction * No inflammatory reaction * Plasma membrane is disrupted * Plasma membrane is not disrupted * 'Smear pattern' on electrophoresis * Step ladder pattern on electrophoresis